Mullerian duct anomaly may include the absence of any of the following EXCEPT:
1. Uterus
2. Vagina
3. Ovary
4. Uterine tube

Correct answer: 3. Ovary

Explanation: Ans. C. Ovarya. Mullerian duct is a mesodermal derivative and gives rise to uterus and uterine tubes. It also forms mesodermal part of the vagina when it meets with the Sino-vaginal bulbs. Sino-vaginal bulbs are induced by the mullerian duct and they form the lower (endodermal) part of vagina.b. Now if mullerian ducts are absent, there will be no uterus and uterine tubes. Vagina will also not form because it is the mullerian duct which induces the formation of vagina. Ovaries will be present since they arise from a separate source-the genital ridges.Note1. A patient with Mullerian agenesis will have amenorrhea due to the absence of uterus. And this amenorrhea cannot be corrected.2. The lady can become a mother by using a surrogate to whom she contributes oocyte for in vitro fertilization.